Contraceptive efficacy is assessed by ?
1. Pearl index
2. Chandelers index
3. Quetlet index
4. Broca index

Correct answer: 1. Pearl index

Explanation: Ans. is 'a' i.e., Pearl index